Nasal valve is formed by -
1. Upper lateral cartilage
2. Lower lateral cartilage
3. Lower end of upper lateral cartilage
4. Upper end of lower lateral cartilage

Correct answer: 3. Lower end of upper lateral cartilage

Explanation: The upper limit of vestibule on the lateral wall is marked by limen nasi (nasal valve) which is formed by the caudal (inferior) margin of upper lateral cartilage.